Which is not an effect of atropine?
1. Rise of body temperature
2. Decreased salivary secretion
3. Bradycardia
4. Increased A-V conduction

Correct answer: 3. Bradycardia

Explanation: ANSWER: (C) BradycardiaREF: KDT 4th Ed p. 94EFFECTS OF ATROPINE:CNS* Stimulates medullary , vasomotor and respiratory center* Depresses vestibular excitation , hence anti motion sickness* Suppresses cholinergic activity in basal ganglia, hence decreases tremor.* High doses may cause cortical excitation , restlessness , disorientation and hallucinationsCVS* Tachycardia* Abbreviates A-V refractory period* Facilitates A-V conduction* No consistent effect on BPEYE* Mydriaisis* Abolition of light reflexes* Cycloplegia* Rise of IOTSmooth musdes* All visceral smooth muscles are relaxed* Constipation* Bronchodilation* Urinary retention* Urinary bladder and ureter relaxation* Effect on uterus is minimal* Effect of biliary tract is less markedGlands* Decrease sweat, salivary , tracheobronchial and lachrymal secretions* Decreases secretion of acid and pepsinBody temperature* riseLocal anesthetic* effect present